Which of the following rates is not only an indicator of mortality but also of the living standard of a community ?
1. IMR
2. PNMR
3. MMR
4. CDR

Correct answer: 1. IMR

Explanation: Ans: A (IMR) Ref: Textbook of Preventive and Social Medicine, K. Park, 22nd edition, page 525Explanation:IMR is most important indicator of health status.Latest IMR is 48/1000 live birth in 2011.Infant mortality is largest single age category mortality.Deaths at this age are due to peculiar set of diseases and conditions to which adult population is exposed or less vulnerable.It is affected quickly and directly by specific health programs and hence change rapidly compared to crude death rate.